A 15 year old boy with cystic fibrosis presents with a 3-6kg weight loss over the past month unaccompanied by changes in his pulmonary and gastrointestinal symptoms. You suspect that he has developed which of the following?
1. Bronchogenic carcinoma
2. Eating disorder
3. Biliary cirrhosis
4. Diabetes mellitus

Correct answer: 4. Diabetes mellitus

Explanation: Diabetes mellitus is a common development in the adolescent and older patient with cystic fibrosis. It results from pancreatic fibrosis and beta-cell destruction. It behaves like maturity onset diabetes, with little tendency to ketoacidosis. Diabetes should always be considered when an older child with cystic fibrosis loses weight.